Ovulation in a women with 28 days cycle occurs at-
1. 14 days prior to menstruation
2. Just before LH surge
3. Just after corpus luteal maturation
4. Due to Progesterone rise

Correct answer: 1. 14 days prior to menstruation

Explanation: Ans (a) 14 days prior to menstruation(Ref: Ganong, 25th ed/p.401)Ovulation is the process of release of ovum that happens around 14th day of the cycle